CAMP test is positive for?
1. Group A streptococcus
2. Group B streptococcus
3. Group C streptococcus
4. Group D streptococcus

Correct answer: 2. Group B streptococcus

Explanation: Ans. is 'b' i.e., Group B streptococcus